Which one of the following anti-tuberculous drug
has excellent penetration into the cerebrospinal fluid?
1. Ethambutol
2. Pyrazinamide
3. Streptomycin
4. Rifampicin

Correct answer: 2. Pyrazinamide